Contraindications of  Cast restorations are all except:
1. Grossly carious tooth
2. Occlusal disharmony
3. Young patients due to high pulp chambers
4. Esthetics

Correct answer: 1. Grossly carious tooth

Explanation: Contraindications

Small and shallow cavities.
High plaque / caries indices.
Occlusal disharmony.
Dissimilar metals.
Esthetics.
Young patients due to presence of large pulp chambers.
Old patients due to lengthy and multi step procedures.